Leading questions are permitted only in -
1. Examination in chief
2. Cross Examination
3. Dying declaration
4. Re-examination

Correct answer: 2. Cross Examination

Explanation: In cross-examination, the witness is questioned by the lawyer for the opposite party. Leading questions are permissible during cross-examination. In examination-in-chief leading, questions are not allowed except in those cases, where the judge is satisfied that a witness is hostile. examination in chief and re-examination are conducted by same side lawyer. dying declaration: is a written or oral statement of a person, who is dying as a result of some unlawful act. . Reference: The synopsis of forensic medicine & Toxicology by Dr. K. S. Narayan Reddy. 28th edition. Pg no: 9&10